Spleen originates following space of peritoneal cavity:
1. Dorsal mesentry
2. Ventral mesentry
3. Left subhepatic space
4. Infracolic compartment

Correct answer: 1. Dorsal mesentry

Explanation: Dorsal mesentry